Fluctuating deafness is seen in
1. Meniere's disease
2. Otosclerosis
3. CSOM
4. ASOM

Correct answer: 1. Meniere's disease

Explanation: Hearing loss usually accompanies vertigo or may precede it. Hearing improves after the attack and may be normal during the periods of remission.This fluctuating character of hearing loss is quite characteristic of Meniere's disease. Ref: Diseases of EAR, NOSE and THROAT by PL Dhingra; 7th Edition; page no.111,112